Which of the following statement is true regarding inguinal hernia:
1. Pain could indicate obstruction
2. Direct inguinal hernia is more common in children
3. Spigelian hernia occur through rectus sheath
4. Inguinal hernia is more common on left side

Correct answer: 1. Pain could indicate obstruction

Explanation: "Spigelian hernia is a type of interparietal hernia occurring at the level of the arcuate line just lateral to the rectus muscles" "Obstructed hernia: The symptoms (colicky abdominal pain & tenderness over hernia site) are less severe and the onset is more gradual than in strangulated hernia" "Both inguinal and femoral hernia occur more commonly on the right side. This is attributed to a delay in atrophy of the processus vaginalis after the normal slow descent of the right testis to the scrotum during the fetal development" Ref: L & B 25/e, Page 968-70; 24/e, Page 1272 CSDT 12/e, Page 766